According to ICD-10, which letter is used to denote mental illness?
1. Q
2. B
3. G
4. F

Correct answer: 4. F

Explanation: Ref: International Classification of Diseases - Version 10 ICD-10. WHO documentExplanation:INTERNATIONAL CLASSIFICATION OF DISEASES (ICD)It is a system for coding all diseases of mankind.It also includes:o Signs and symptomso Abnormal findingso Social circumstanceso External causes of injury or distress.It is published by WHO (World Health Organization).The current version is 10th.Next version 11th is expected in 2015.It has 22 chapters (coded in Roman I to XXII).It also has codes as "alpha-numericaC (i.e. alphabets and numbers).The alphabets A to Z are there but put in chapters as ''blocks". For example, Chapter I contains A and B blocks.Mental health disorders are coded in Chapter V, F block.Each alphabet (block) has numbers in two digits which in turn followed by two decimal numbers.For example, moderate depressive episode with somatic syndrome is coded as F32.ll.Mental health disorders are coded from F00 to F99 in ten categories (F00-FO9, FIO-19. F20-29, F90-99).First organic conditions (F00-09), then substance use (F10-19) are coded and insist all of us to rule out these etiopathological factors first in any case of behavioral disturbance.Other classificatory systems are DSM (Diagnostic and Statistical Manual, Vth revision) and Chinese Classification of Mental Disorders (CCMD, 3rd edition).DSM is devised by APA ( American Psychiatric Association).In contrast to ICD. these classification systems are applicable for mental health problems ONLY (ICD codes all disorders).ICD system is used for medical insurance system in USA though DSM is used widely by clinicians.